All are radiological features of sickle cell anemia except – a) Vertebra planab) Floating teethc) Bone infarctd) Marrow hyperplasiae) Secondary osteomyelitis
1. ac
2. a
3. ab
4. bc

Correct answer: 3. ab

Explanation: Bone infarct, marrow hyperplasia and secondary osteomyelitis occur in sickle cell anemia.